Cinacalcet acts by
1. Inhibiting RANK - ligand
2. Activating osteoblasts
3. decreasing parathormone secretion
4. Increasing vitamin D

Correct answer: 3. decreasing parathormone secretion

Explanation: Cinacalect is a calcimimetic drug. It resembles calcium and activates calcium sensing receptor(CaSR) present on parathyriod gland and decreases parathormone secretion.